The term orthodontics was coined by:
1. Lefelon of France
2. Hunter
3. Carabeli
4. Norman kingsley

Correct answer: 1. Lefelon of France